About Apoptosis ,true statement is
1. Injury due to hypoxia
2. Inflammatory reaction is present
3. Council man bodies are associated with Apoptosis
4. Cell membrane is damaged

Correct answer: 3. Council man bodies are associated with Apoptosis

Explanation: Ref Robbins 8/e p25; 7/e p26;9/e p823 Councilman body, also known as Councilman hyaline body or apoptotic body, is an acidophilic (eosinophilic / pink-staining on H&E) globule of cells that represents a dying hepatocyte often surrounded by normal parenchyma. ... It represents a hepatocyte that is undergoing necrosis/apoptosis In H&E-stained tissue sections, the nuclei of apoptotic cells show various stages of chromatin condensation and aggregation and, ultimately, karyorrhexis (Fig. 1-21); at the molecular level this is reflected in fragmentation of DNA into nucleosome-sized pieces. The cells rapidly shrink, form cytoplasmic buds, and fragment into apoptotic bodies composed of membrane-bound vesicles of cytosol and organelles (Fig. 1-6). Because these fragments are quickly extruded and phagocytosed without eliciting an inflammatory response, even substantial apoptosis may be histologically undetectable